All the following are true about upper eyelid EXCEPT:
1. Muscles which close the eyelid are supplied by the facial nerve
2. Muscles which open the eyelid are supplied by the branch of trigeminal nerve
3. Sensory supply is by the 5th cranial nerve
4. Blood supply is by the lacrimal and ophthalmic arteries

Correct answer: 2. Muscles which open the eyelid are supplied by the branch of trigeminal nerve

Explanation: Blood Supply of upper lid
The eyelids  are supplied by:

The superior and inferior palpebral branches of the ophthalmic  artery.
The lateral palpebral branch of the lacrimal artery.

They form an arcade in each lid.
The veins drain into the ophthalmic and facial veins.
Nerve Supply of upper lid
The upper eyelid is supplied by the lacrimal, supraorbital, supratrochlear and infratrochlear nerves from lateral to medial side.
The lower eyelid is supplied by the infraorbital and infratrochlear nerves.